Pathogenic feature of malignant hypertension is
1. Fibrinoid necrosis
2. Papillary necrosis
3. Hard exudate
4. All

Correct answer: 1. Fibrinoid necrosis

Explanation: Fibrinoid necrosis is a specific pattern of irreversible, uncontrolled cell death that occurs when antigen-antibody complexes are deposited in the walls of blood vessels along with fibrin. It is common in the immune-mediated vasculitides which are a result of type III hypersensitivity. Fibrinoid is limited to small blood vessels. Typically, it involves small arteries, . The walls of necrotic vessels or glomeruli are impregnated with Refer robbins 9/e p939